Chyluria is associated with passage of urine which is:
1. White
2. Dark yellow
3. Straw coloured
4. Brown

Correct answer: 1. White

Explanation: Answer is A (White) Chyluria is associated with assage of white coloured milk like urine. Underlyingndition condition Hematuria, Hemoglobinuria, Myoglobinuria Jaundice Chyluria Massive uric acid crystalluria Porphyrinuria Alkaptonuria Drugs Rifampicin Phenytoin Chloroquine Triamterene Methylene blue Metronidazole, imipenem/cilastatin, methyldopa Foods Beetroot Rhubarb, senna Carotene Possible urine coloration Pink, red , brown or black Dark yellow to brown White and milky Pink Red (possibly darkening upon standing or fluorescence in UV light) Brown to black Orange to red Red Brown Green Blue Darkening upon standing Red Yellowish-brown or red Brown